Frenkel's skin test is positive in -
1. Spinal cord compression
2. Toxoplasmosis
3. Pemphigus
4. Pemphigoid

Correct answer: 2. Toxoplasmosis

Explanation: PARASITOLOGY-Tests for detecting various parasites Sabin Feldman Test --->Toxoplasmosis Frenkel's Skin Test --->Toxoplasmosis Casoni's Test ---> Hydatid Cyst Montenegro Test ---> Leishmaniasis Scotch Tape Test ---> Pinworm NIH Swab Examination ---> Pinworm Fairley Test ---> Schistosomiasis Skin Snip Test ---> Onchocerciasis